A Gaussian distribution is:
1. Normal distribution
2. Log normal distribution
3. Poisson distribution
4. Variant distribution

Correct answer: 1. Normal distribution